The most common complication of clavicle fracture is
1. Injury to brachial plexus
2. Malunuion
3. Stiffness of shoulder
4. Non union

Correct answer: 2. Malunuion

Explanation: B i.e. Malunion